Which of the following statement is true regarding Acanthamoeba keratitis:
1. For the isolation of the causative agent, corneal scraping should be cultured on a nutrient agar plate
2. The causative agent, Acanthamoeba is a helminth whose normal habitat is soil
3. Keratitis due to Acanthamoeba is NOT seen in the immunocompromised patient
4. Acanthamoeba does NOT depend upon a human host for the completion of its life-cycle

Correct answer: 4. Acanthamoeba does NOT depend upon a human host for the completion of its life-cycle

Explanation: Ans. D i.e. Acanthamoeba does NOT depend upon a human host for the completion of its life-cycle